A patient Geeta began taking alendronate and she was advised to take a large amount of water and remain in the standing position for at least half an hour till she had the first meal of the day. These instructions were given to reduce the risk of:
1. Cholelithiasis
2. Constipation
3. Erosive esophagitis
4. Osteonecrosis

Correct answer: 3. Erosive esophagitis